A 50-year-old construction worker continues to have elevated BP of 160/100 mmHg after a third agent (thiazide) is added to his anti-hypertensive regimen. Physical examination is normal, electrolytes are normal and he is not taking any over the counter medications. Which is the next helpful step in the diagnosis of this patient?
1. Check pill count
2. Perform renal Doppler
3. MRI aorta
4. Adrenal CT scan

Correct answer: 1. Check pill count

Explanation: The patient is suffering from resistant hypertension and the leading cause of resistant hypertension is non- compliance on the part of patient. Resistant hypertension is defined as blood pressure that remains above goal in spite of the concurrent use of 3 antihypertensive agents of different classes. Ideally, one of the 3 agents should be a diuretic and all agents should be prescribed at optimal dose amounts.